Which of the following disease modifying anti–rheumatic drugs (DMARDs) is the drug of first choice ?
1. Methotrexate
2. Gold compounds
3. D-penicillamine
4. Anakinra

Correct answer: 1. Methotrexate